A hymenal tag in a newborn is best treated by –
1. Steroids
2. Surgery
3. Leaving it alone
4. None of the above

Correct answer: 3. Leaving it alone

Explanation: Hymenal tags around margins of hymen is normal finding.